NFHS-3 was conducted in ?
1. 1992-93
2. 1998-99
3. 2005-06
4. 2009-10

Correct answer: 3. 2005-06

Explanation: Ans. is 'c' i.e., 2005-06 National family health survey (NFHS) Is a large-scale, multi-round survey conducted in a representative sample of households throughout India. 3 rounds of the survey have been conducted till date. NFHS-1: 1992-93 NFHS-2: 1998-99 NFHS-3: 2005-06 Goals of NFHS survey: To provide essential data needed by Ministry of Health & Family Welfare and other agencies for policy and programme purposes To provide information on important emerging health and family welfare issues Few key findings of NFHS-3, India (2005-06) Literacy rate : Male - 83%, Female - 59%. IMR : 57 per 1000 live births. TFR : 2.6 Contraceptive prevalence : 56% (Sterilization 37%) 3 AN check ups : 51%. Took IFA : 65% (Took IFA for 90 days) or more : 23%. Received > 2 TT injections : 76% Institutional deliveries : 41% Delivery assisted by health professionals : 48%. Delivery conducted by a skilled provider : 47%. Anemia - children : 79% Anemia - pregnancy : 58% Women experienced domestic violence : 37%